Which is not a feature of inevitable abortion
1. Bleeding PV
2. Pain
3. Closed internal os
4. None of the above

Correct answer: 3. Closed internal os

Explanation: Ans. is 'c' i.e., Closed internal os * Inevitable abortion means the process of expulsion of products of conception has become irreversible. The expulsion of products of conception has not occurred but it is bound to happen and nothing can be done to stop this process.* Inevitable abortion is usually preceded by threatened abortion. Following are the clinical features of inevitable abortion:i) Amenorrhoea, there is history of amenorrhoea, usually of 2-3 months. Other symptoms of early pregnancy are also present in most of the patients like Morning sickness., Breast enlargement and discomfort.ii) Bleeding per vagina, The bleeding per vagina in the beginning is bright red and scanty in amount, later becomes heavy, with passage of clots.iii) Pain: Pain is a characteristic feature of inevitable abortion. It is characterized by lower abdominal cramps (due to painful uterine contractions). The intensity of pain depends upon the duration of pregnancy and parity of the patient.iv) Size of the uterus: In an inevitable abortion,as all the products of conception are still in the uterine cavity, the size of the uterus corresponds to the duration of the gestation.v) Dilatation of Cervix: This is a pathogenic sign of inevitable abortion. Once the internal Os of the Cervix starts dilating, it means that the abortion is inevitable. The sac of membranes or the foetus may be felt through the dilated cervix.